Which method of contraception is not used in patient with active syphilis?
1. IUCD
2. Oral contraceptive pills
3. Barrier devices
4. Calendar method

Correct answer: 1. IUCD

Explanation: Ans. is 'a' i.e.,IUCDSyphilis is a sexually transmitted disease.Use of IUCD is strictly contraindicated in patient with active genital tract infection thus use of IUCD is contraindicated in in patient with active syphilis